Commonest type of cancer of the renal pelvis and upper ureter is -
1. Transitional cell carcinoma
2. Adenocarcinoma
3. Squamous cell carcinoma
4. Nephroblastoma

Correct answer: 1. Transitional cell carcinoma